Initiation of caries by streptococcus  mutans is by the production of
1. Dextranase and soluble dextran
2. Insoluble dextan and glucosyl transferase
3. Soluble dextran and glycosyl transferase
4. None of the above

Correct answer: 2. Insoluble dextan and glucosyl transferase